All of the following forces are involved in Antigen antibody reaction except -
1. Vander Waal's forces
2. Electrostatic bond
3. Hydrogen bond
4. Covalent bond

Correct answer: 4. Covalent bond

Explanation: Antigens are bound to antibodies through weak and noncovalent interactions such as electrostatic interactions, hydrogen bonds, Van der Waals forces, and hydrophobic interactions. Ref: Ananthanarayan & Panikers textbook of microbiology 9th edition pg:103